Rubella causes all except
1. Microcephaly
2. VSD
3. PDA
4. AS

Correct answer: 4. AS

Explanation: Rubella: Rubella/ german measles is caused by RNA virus of togavirus family. Rubella inhibits cell division and this is the reason for congenital malformations. Congenital Rubella syndrome refers to infants born with defects secondary to intrauterine infections sometime after birth. It consists of triad of symptoms of deafness, cardiac malformation and cataract . Other defects include glaucoma , retinopathy, microcephalus, cerebral palsy , intrauterine growth retardation, hepatosplenomegaly, mental and motor retardation. Reference: GHAI Essential pediatrics, 9 th edition